The nucleus involved in Alzheimer's disease is:
1. Basal nucleus of Meyernet
2. Raphe nucleus
3. Superior salivary nucleus
4. Basal lobe of cerebellum

Correct answer: 1. Basal nucleus of Meyernet

Explanation: Ans. (a) Basal nucleus of Meyernet(Ref: Harrison 18th ed: 3306, 17th pg 2541)AD is associated with decrease in cerebral cortical level of acetylcholine. This degeneration occurs in nucleus basalis of Meyernet Q